Canal of Herring are seen in
1. Spleen
2. Liver
3. Kidney
4. Thymus

Correct answer: 2. Liver